The most common site for Amoebiasis
1. Sigmoid colon
2. Transverse colon
3. Cecum
4. Colon

Correct answer: 3. Cecum

Explanation: Refer Robbins page no Pg p 795 Amoebiasis is seen most definitely in the cecum and ascending colon